Advantage of Minimal access surgery
1. Heat loss
2. Better Hemostasis control
3. Improved vision
4. In wound pain

Correct answer: 3. Improved vision

Explanation: The core principles of minimal access surgery (independent of procedure or device) can be summarized by the acronym I-VITROS: * Insufflate/create space - to allow surgery to take place in the minimal access setting * Visualise - the tissues, anatomical landmarks and the environment for the surgery to take place * Identify - the specific structures for surgery * Triangulate - surgical tools (such as port placement) to optimise the efficiency of their action, and ergonomics by minimising overlap and clashing of instruments * Retract - and manipulate local tissues to improve access and gain entry into the correct tissue planes * Operate - incise, suture, anastomose, fuse * Seal/haemostasis. Ref: Bailey and love 27th edition Pgno : 105